Estrogen receptor studies in carcinoma breast is done on-
1. Blood
2. Urine
3. Tumour tissue
4. Ovary

Correct answer: 3. Tumour tissue